All the following cycles operate in mitochondria except ?
1. Ketogenesis
2. Beta oxidation
3. TCA cycle
4. EMP

Correct answer: 4. EMP

Explanation: Ans. is 'd' i.e., EMPCycles/reactions operating in mitochondria are :?Kreb's cycle (citric acid cycle or TCA cycle)Electron transport chainFatty acid oxidation (Beta oxidation)KetogenesisEmbden Meyerhof Pathway (EMP), also called glycolysis, occurs in cytosol.